What is the earliest most common presenting feature of anterior cervical fibroid?
1. Frequency of urine
2. Bleeding
3. Acute abdomen
4. Constipation

Correct answer: 1. Frequency of urine

Explanation: Ans. is a, i.e. Frequency of urineRef: Dutta Gynae 6th/ed p284Symptoms of cervical fibroid are predominantly due to pressure effect on surrounding structures.Anterior cervical fibroid irritates the trigone of bladder causing frequency of micturition or even retention due to pressure effects.In lateral cervical fibroid, vascular obstruction may lead to hemorrhoids and rarely, edema of legs. The ureter is pushed laterally and below the tumor.Posterior cervical fibroid predominantly presents with retention of urine and constipation.